Most specific test for syphilis
1. VDRL
2. RPR
3. FTA-Abs
4. Kahn's test

Correct answer: 3. FTA-Abs

Explanation: C i.e. FTA-Abs